Which of the following DOES NOT contribute to the ring of thymine ?
1. Aspartate
2. Glutamine
3. THF
4. Bicarbonate

Correct answer: 3. THF

Explanation: The question asked specifically about the ring and not side groups present on ring. In Thymine (Pyrimidine) ring, sources of N & C are: N3 from Glutamine C2 from CO2 (or Bicarbonate) N1, C4, C5, C6 from Aspartate -CH3 is not part of the ring but a side group which is contributed by THF, Hence it is the answer.